Which of the following is earliest sign of ulcerative colitis on double contrast barium enema (DCBE) study?
1. Fine Mucosal granularity
2. Loss of haustrations
3. 'Collar-button' ulcers
4. Lead pipe colon

Correct answer: 1. Fine Mucosal granularity